Withdraw! bleeding occurs when progestins administered continuously :
1. Estrogen concentration is sufficient
2. Structural abnormality in the pelvis
3. Associated with endocrine disorder
4. Atrophic endometrium

Correct answer: 1. Estrogen concentration is sufficient

Explanation: Estrogen concentration is sufficient